Echocardiography can detect pericardial effusion as little as:
1. 15 ml
2. 100 ml
3. 150 ml
4. 200 ml

Correct answer: 1. 15 ml

Explanation: Ans.